In hypoxic damage to brain, which of the following is damaged most
1. Claustrum
2. Mamillary body
3. Layer of corpus callosum
4. Purkinje layer of cerebellum

Correct answer: 4. Purkinje layer of cerebellum

Explanation: The brain regions most sensitive to this type of injury are parts of the hippocampus, the dorsolateral caudate nucleus and the reticular nucleus of thalamus. Purkinje layer is also suseptable Ref: guyton and hall textbook of medical physiology 12 edition page number:681,682,683